Prevalence is a -
1. Rate
2. Ratio
3. Proportion
4. mean

Correct answer: 3. Proportion

Explanation: . the term "disease prevalence refers specifically to all current cases(old and new)existing at a given point in time or over a period of time in a given population.it is the total number of all individuals who have an attribute or disease at a particular time or during a particular period divided by the population at risk of having the attribute or disease at this point in time or midway through the period. ref:park's textbook of preventive and social medicine,22 nd edition ,pg no 58